Calot's triangle is an important landmark for
1. Cystic duct
2. Cystic artery
3. Common bile duct
4. Hepatic vein

Correct answer: 2. Cystic artery

Explanation: Calot's triangle: area bound superiorly by the inferior surface of the liver, laterally by the cystic duct and the medial border of the gallbladder and medially by the common hepatic duct. It is an important surgical landmark as the cystic artery, usually can be found within its boundaries.Ref: Bailey and love 27e pg: 1188